Green colour blindness is called -
1. Protanopia
2. Deuteranopia
3. Tritanopia
4. Dyschromatopsia

Correct answer: 2. Deuteranopia

Explanation: (B) (Deuteranopia) (347-Nema 6th) (326 Khurana 5th)* Protanopia - ie Complete red colour defect* Deoteranopia - ie Complete defect for green colour* Tritanopia - ie Absence of blue colour apreciationTESTS FOR COLOUR VISION1) Pseudo-isochromatic charts (Ishihara's plate, Hardy - Rand Rittler plates, American optical colour plates).2) Farnsworth munsell 100 hue test3) Edridge Green lantern test4) City university colour vision test5) Nagel's anomaloscope6) Holmgren's wool testA maurosis fu2ax - sudden temporary and painless monocular visual loss occurring due to transient failure of etinal circulation.